Benzylisoquinoline muscle relaxant is ?
1. Vecuronium
2. Rocuronium
3. Doxacurium
4. Pancuronium

Correct answer: 3. Doxacurium

Explanation: Ans. is 'c' i.e., Doxacurium Competitive (nondepolarizing) blockers are of two types - Benzylisoquinolone derivatives This includes - d-TC, doxacurium, atracurium, cisatracurium, mivacurium, metocurine. These drugs have tendency to release histamine and to block autonomic ganglion. Amminio steroid derivatives This include pancuronium, rocuronium, vecuronium, pipecuronium, rapacuronium. These drugs do not block autonomic ganglia and have minimal histamine releasing property.